Cock's peculiar tumor is
1. Basal cell CA
2. Squamous cell CA
3. Ulcerated sebaceous cyst
4. Cylindroma

Correct answer: 3. Ulcerated sebaceous cyst

Explanation: Ans is 'c' i.e. Ulcerated sebaceous cyst Repeat from May 04Cocks peculiar tumor is actually a complication of sebaceous cyst.- When the sebaceous cyst of the scalp ulcerates excessive granulation tissue forms resembling fungating epithelioma. This is called cock's peculiar tumor.Also know these termsCylindroma-A malignant epithelial tumour also k/a Turban tumorKnown as cylindroma because of histological appearancePilomatrixoma (Calcifying epithelioma of Malherbe) -It is a benign hair follicle derived tumour.Pott's puffy tumour -It is osteomyelitis of the skull associated with subperiosteal swelling and edema.